Phlebography refers to the contrast examination of which of the following?
1. Arteries
2. Veins
3. Lymphatics
4. Pulmonary circulation

Correct answer: 2. Veins

Explanation: Ans BPhlebography refers to the contrast examination of veins Q. Arteriography refers to contrast examination of arteries. Lymphography refers to examination of the lymphatics. Venography (also called phlebography or ascending phlebography) is a procedure in which an x-ray of the veins, a venogram, is taken after a special dye is injected into the bone marrow or veins. The dye has to be injected constantly via a catheter, making it an invasive procedure. Normally the catheter is inserted by the groin and moved to the appropriate site by navigating through the vascular system. Contrast venography is the gold standard for judging diagnostic imaging methods for deep venous thrombosis; although, because of its cost, invasiveness, and other limitations this test is rarely performed